The major difference between X-Rays and Light is:
1. Energy
2. Mass
3. Speed
4. Type of wave

Correct answer: 1. Energy

Explanation: The main difference between an X-ray photon and a visible light photon lies in the energy of each photon. Xray photon has approximately 5000 times the energy of an ordinary light photon, allowing the Xray photon to pass through materials more readily than a regular light photon. Ref: Techniques in Microscopy for Biomedical Applications By Terje Dokland, Page 289